Infection with which of the following bacteria is associated with non invasive diarrhea?
1. Shigella
2. Salmonella
3. Bacillus Cereus
4. Yersinia enterocolitica

Correct answer: 3. Bacillus Cereus

Explanation: Bacillus cereus causes non invasive diarrhea due to preformed enterotoxins. It produces two enterotoxins, one of it acts by ADP ribosylation of a G protein resulting in increased concentration of cAMP within the enterocyte. The other enterotoxin resembles a staphylococcal enterotoxin i.e., it acts as a superantigen. Bacillus cereus infection occur with the ingestion of reheated fried rice. It can either produce nausea and vomiting similar to staphylococcal food poisoning or can produce watery, non bloody diarrhea, resembling clostridial gastroenteritis. Ref: Review of Medical Microbiology and Immunology By Warren Levinson, 11th Edition, Chapter 17; CURRENT Diagnosis and Treatment: Gastroenterology, Hepatology and Endoscopy, Chapter 5